Thiazides and loop diuretics both have opposite action on which of the following ions ?
1. Sodium
2. Potassium
3. Calcium
4. Chloride

Correct answer: 3. Calcium

Explanation: Ans. is'c'i.e., Calcium(Ref: KDT 7/e p. 5S2l)Furosemide action on calciumFurosemide increases Ca2+ excretion (contrast thiazides which reduce it)